Which of the following is not a feature of peripheral arterial occlusion
1. Shock
2. Pain
3. Pallor
4. Parasthesia

Correct answer: 1. Shock

Explanation: Symptoms and signs of peripheral arterial occlusion are classically remembered by 5 Ps. Pain Pallor Pulselessness Paralysis & Paraesthesia (actually it is anaesthesia, complete loss of sensation) Some add a sixth 'P' - 'poikilothermia' or 'perishing cold' MC presenting symptom of acute arterial occlusion - Pain (Schwartz Pretest) Ref : Bailey & Love 25/e p909